Anorchia best diagnosed by:
1. USG
2. SPECT
3. CT
4. Laparoscopy

Correct answer: 4. Laparoscopy

Explanation: Ans. Laparoscopy